What is true in case of perforation of pars flaccida?
1. CSOM is a rare cause
2. Associated with cholesteatoma
3. Usually due to trauma
4. All of the above

Correct answer: 2. Associated with cholesteatoma

Explanation: Ans. B Associated with cholesteatomaTympanic membrane can be divided in 2 parts:Parstensa : It forms most of the tympanic membrane. Its periphery is thickened to form fibro cartilaginous ring called as annulus tympanicus.Pars Falccida : It is situated above the lateral process of malleus between the notch of Rivinus and the anterior and posterior malleolar folD. Perforation in tympanic membrane can be in Central* Occurs in tubotympanic type ofCSOM* Not associated with cholesteatoma* Considered safe Marginal (Perforation destroys even the annulus) theraby reaching sulcus tympanicusMost common is posterio superiormarqinal?- occur in attico antral type of CSOM- associated with cholesteatoma- considered unsafe / dangerous Attic perforation NoteMost common cause of perforation is chronic otitis mediaMnemonicFamousF - Perforation of Pars FlaccidA.A - Seen in Atticoantral/marginal perforationM - Associated with CSOM (of atticoantral type) or acute necrotizing otitis mediao - Associated with CholesteatomaU - Unsafe typeS - Surgery is TOe.